Which personality type is believed to be more prone to coronary heart disease?
1. Type A
2. Type B
3. Type C
4. All are equally prone

Correct answer: 1. Type A

Explanation: Type A personality is associated with competitive drive, restlessness, hostility and are more prone to coronary heart disease. Ref: Park 21st edition, page 341.